Blow out fracture of the orbit, most commonly leads to fracture of -
1. Posteromedial floor of orbit
2. Medial wall of orbit
3. Lateral wall of orbit
4. Roof of orbit

Correct answer: 1. Posteromedial floor of orbit

Explanation: "The most common site for a blowout fracture to occur is the posteromedial aspect of the orbital floor, medial to the infraorbital neurovascular bundle where the maxillary bone is very thin." - The Internet Journal of Otorhinolaryngology.